Bennett angle is measured on the
1. Working side
2. Balancing side
3. Lateral side
4. Medial side

Correct answer: 2. Balancing side